Most common cause of first trimester abortion:
1. Genetic factors
2. Endocrine disorders
3. Immunological disorders
4. Infection

Correct answer: 1. Genetic factors

Explanation: Common Causes of abortion First trimester: 1. Genetic factors (50%) 2. Endocrine disorders (luteal phase defect, thyroid abnormalities, and diabetes) 3. Immunological disorders (autoimmune and alloimmune) 4. Infection 5. Unexplained